Openings of the tube of bronchoscope are known as
1. Holes
2. Apertures
3. Vents
4. Any of the above

Correct answer: 3. Vents

Explanation: Ans. c (Vents). (Ref. Bronchology by Lukomsky, 40; Diseases of ENT by PL Dhingra, 2nd ed., 484, 528)BRONCHOSCOPE# Bronchoscope is similar to esophagoscope, but has openings at the distal part of the tube, called vents, which help in aeration of the side bronchi.# Size of bronchoscope will vary with age of the patient, with adult size being 9 mm luminal diameter and 40 cm length of tube.Jackson's dictum; In the case of suspected or expected foreign body, it is safer to perform bronchoscopy rather than with holding it.# Advantages of flexible fibreo-optic bronchoscopy;- Provides magnification and better illumination.- Permits examination of sub-segmental bronchi.- Easy in patients with neck/jaw abnormalities.- Can be performed under topical anaesthesia.- Suction/biopsy channels are provided which helps to remove secretions, inspissated plugs of mucus or even small foreign bodies.- It can be easily placed through endotracheal tube or tracheostomy opening.- However, it has limited utility in children due to problem of ventilation.- Flexible endoscopes are sterilized by glutaral dehyde or peracetic acid.